Which organism causes toxin shock syndrome ?
1. Pneumococcus
2. E. coli
3. Staphylococcus aureus
4. Enterococcus

Correct answer: 3. Staphylococcus aureus

Explanation: Ans. is 'c' i.e., Staphylococcus aureus Toxic shock syndrome TSS is a potentially fatal multisystem disease characterized by sudden high fever, fainting, watery diarrhea, headache and muscle ache. There are two types of TSS :? 1. Staphylococcal TSS Staphylococcal TSS results from the elaboration of toxic shock syndrome toxin type-1 (TSST-1) also known as enterotoxin type F or pyrogenic exotoxin C. Enterotoxin B or C may also produce TSS. 2. Streptococcal TSS Streptococcal TSS results from the elaboration ofpyrogenic exotoxin A.